Ovarian reserve is best indicated by
1. LH
2. FSH
3. LH/ FSH ratio
4. Estrogen

Correct answer: 2. FSH

Explanation: B i.e. FSHOvarian reserve can be best assessed by measuring FSH levels on 3rd day of menstrual cycle, clomiphene citrate challenge / provocative test (measures FSH levels on cycle day 10 after antiestrogen clomiphene citrate 100 mg administration from day 5 to 9). Serum inhibin B level and ultrasonic scanning to count the number of antral follicles in ovary are other methods.Ovarian Reserve- It refers to the size of resting / nongrowing /primordial follicle population, which reflects the quantity (no) of growing follicles and quality of oocytes within it. So ovarian reserve determines the functional reproductive potential of ovary.- Under the influence of FSH and LH, there is rapid growth of several follicles in ovary, during first few days of each menstrual cycle. But after a week only 1 follicle begins to outgrow all the others /which involute by a process called atresia and thus preventing more than one child from developing with each pregnancy).- Ovarian reserve (& capacity of ovary to produce eggs) decline with advancing age. Best predictor of ovarian reserve is age. Tests that can determine ovarian reserve include